All cartilages are covered by perichondrium except
1. Hyaline
2. Elastic
3. Fibrocartilage
4. None of the above

Correct answer: 3. Fibrocartilage

Explanation: Perichondrium is a membrane made of connective tissue that covers cartilage. In adults, it covers hyaline cartilage in the larynx (voice box), trachea (windpipe), nose and ribs (costal cartilage ), and elastic cartilage in the external ear (auricular cartilage), epiglottis and eustachian tubes. In adults, it is absent in the articular cartilage in the joints and fibrocartilage in the joint capsules, at the attachment points of tendons and ligaments to bones and in the intervertebral discs in the spine.Functions of perichondrium: Contributes to appositional cartilage growth and repair. Fibrocartilage cartilage, which lacks perichondrium undergoes interstitial growth. In early bone development, perichondrium might serve as a reservoir of mesenchymal stem cells. Cartilage nourishment. (Ref: Inderbir Singh's Histology, 7th edition, Cartilage pg 80)